External anal sphincter is innervated by
1. L4, L5
2. L5, S1
3. S1, S2, S3
4. S2, S3, S4

Correct answer: 4. S2, S3, S4

Explanation: External anal sphincter is controlled by spinal nerves from the S2, S3 and S4 levels of your spinal cord, which form the pudendal nerve. ref - BDC vol2 pg 412-416